All of the following statements about WiskottAldrich syndrome are true, Except
1. Autosomal Recessive disorder
2. Eczematous Rash
3. Impaired platelet aggregation in response to agonist
4. Thrombocytopenia

Correct answer: 1. Autosomal Recessive disorder

Explanation: Answer is A i.e. (Autosomal Recessive disorder) Wiskott-Aldrich syndrome is an X-Linked Recessive Syndrome and not an Autosomal Recessive disorder Eczema, Thrombocytopenia and Impaired Platelet Aggregation response are typical presenting features of WiskottAldrich syndrome (Refer table in previous question)